Which nerve winds around subclavian artery ?
1. Left recurrent laryngeal nerve
2. Right recurrent laryngeal nerve
3. External laryngeal nerve
4. Superior laryngeal nerve

Correct answer: 2. Right recurrent laryngeal nerve

Explanation: Ans. is 'b' i.e., Right recurrent laryngeal nerve o On right side, recurrent laryngeal nerve winds around first part of right subclavian artery.Recurrent laryngeal nerveso Recurrent laryngeal nerves (right and left) are branches of inferior ganglion of vagus nerveo On right side it arises in the root of neck and winds around first part of right subclavian artery. It may be anterior (superficial) or posterior (deep) to inferior thyroid arteryo On left side it arises in thorax (superior mediastinum) and wind's around the arch of aorta immediately behind the attachment of ligamentum arteriosum. It is usually posterior (deep) to inferior thyroid artery or between its branches.o Recurrent laryngeal nerve supplies all intrinsic muscles of larynx (except cricothyroid) and mucous membrane of larynx below vocal fold. It also gives branches to deep cardiac plexus, trachea, esophagus and inferior constrictiono Inferior thyroid artery is ligated away from gland to avoid injury to nerve. Left nerve is more liable to damage.